Compensatory extractions are done to:
1. Avoid midline shift.
2. To maintain buccal segment occlusal relationship.
3. Both of the above.
4. None.

Correct answer: 2. To maintain buccal segment occlusal relationship.